Type of renal stone formed in a patient with regional enteritis:
1. Calcium oxalate
2. cysteine
3. Struvite
4. Urate

Correct answer: 1. Calcium oxalate

Explanation: Calcium oxalate stone is formed in patient with Regional enteritis Regional enteritis causes decreased Bile salt absorption, thus Ca++ sequestration and increased absorption of Oxalate